LH is secreted by -
1. Ovary
2. Pituitary
3. Corpus luteum
4. Hypothalamus

Correct answer: 2. Pituitary

Explanation: Ans. is 'b' i.e., Pituitary